Majority of the afferent blood supply to liver is from
1. Hepatic vein
2. Hepatic artery
3. IVC
4. Portal vein

Correct answer: 4. Portal vein

Explanation: Ans d): Portal veinThe liver is the largest gland in the body Its three basic functions are:* bile production & secretion* metabolism of fat, carbohydrate & protein* Blood filtration (removal of bacteria & foreign particles gained en trance from intestine)It has dual supplyHepatic artery - oxygenated blood - 30%Portal vein - venous blood rich in products of digestion -70%.